Porosity measurements in four types of hand-mixed  cements  showed  that __________  cement had the highest porosity.
1. Resin cement
2. GIC
3. Zinc phosphate cement
4. Polycarboxylate cement

Correct answer: 4. Polycarboxylate cement

Explanation: Porosity measurements in four types of hand-mixed cements showed that polycarboxylate cement had the highest porosity and resin cement had the least. Zinc phosphate and GICs had intermediate amounts of porosity.
Ref: Phillip’s Science of Dental Materials ed 12 pg 320